A young lady was admitted after taking an overdose of diazepam after a broken affair. She has a history of slitting her wrist previously. Most likely diagnosis is-
1. Narcisstic personality disorder
2. Dependent PD
3. Borderline PD
4. Histrionic PD

Correct answer: 3. Borderline PD

Explanation: Information in this question


Unstable interpersonal relationship (broken affair)
Suicidal attempt Self inflicted injury


Diagnosis is a borderline personality border.